Which is not a stage of prophase -
1. Diakinesis
2. Leptotene
3. Zygotene
4. Arachytene

Correct answer: 4. Arachytene

Explanation: Ans. is 'd' i.e., Arachytene Meiosiso Meiosis is a process of cell division which is observed only during maturation of sex cells i.e. in final process of gamete formation.o Meiosis consists of tow consecutive divisions, Meiosis I and Meiosis II, to yield four haploid gamates from a single diploid grand parent cells.o Hence, the meiosis is called heterotypical or reduction division.o The characteristic of meiosis is that there is no DNA replication between meiosis I and meiosis II.Meiosis Io Meiosis I is divided into following phases1) Prophase I: It is further divided into following stages:-i) Leptoteneii) Zygoteneiii) Pachyteneiv) Diplotenev) Diakinesis2) Metaphase I3) Anaphase I4) Telophase 1Meiosis IIo It is divided into following phases:-1) Prophase II2) Metaphase II3) Anaphase II4) Telophase II